A couple with a child of spina bifida comes for preconceptional counseling. what is the recurrence risk of spina bifida in this couple?
1. 3-5%
2. 5-10%
3. 10%
4. >10%

Correct answer: 1. 3-5%

Explanation: The recurrence risk is approximately 3 to 5 percent if a couple has previously had a child with either anencephaly or spina bifida.5 percent if either parent was born with an NTD, and as high as 10 percent if a couple has two affected children. Importantly, almost 95 percent of NTDs develop in the absence of a family history.Reference: William's obstetrics; 25th edition; Chapter 14; Prenatal Diagnosis